A surgeon sees a necrotic bowel when operating a child for inguinal hernia. What is true about the resection and anastomosis of the bowel
1. The surgeon must use chromic Catgut
2. The surgeon must not include the submucosa in the sutures
3. The surgeon must use the single layer, Extra mucosal suture technique
4. The surgeon must use the single layer seromuscular suture technique

Correct answer: 3. The surgeon must use the single layer, Extra mucosal suture technique

Explanation: The standard technique used currently for resection and anastomosis of the bowel is one layer--Extra mucosal suture techniqueThis technique has now become widely accepted, although it is essential that this is not confused with a seromuscular suture technique. The extramucosal suture must include the submucosa because this has a high collagen content and is the most stable suture layer in all sections of the gastrointestinal tract. Ref: Bailey and love 27th edition Pgno : 98